The father of epidemiology is
1. Hippocrates
2. Alfred Fones
3. Cholera
4. John Snow

Correct answer: 4. John Snow